Which of the following statements about Von-Hippel Lindau syndrome is true
1. Multiple tumors are rarely seen
2. craniospinal hemangioblastomas are common
3. Superatentorial lesions are common
4. Tumors of Schwann cells are common

Correct answer: 2. craniospinal hemangioblastomas are common

Explanation: Harrison's principles of internal medicine 17th edition. *In VHL somatic mutation of normal allele leads to retinal angiomas, CNS hemangioblastoma,pheochromocytomas and multicentric clear cysts,hemangiomas and adenomas of kidney